Which does not happen in unilateral renal trauma?
1. Hypertension
2. Uremia
3. Clot formation
4. Perinephric hematoma

Correct answer: 2. Uremia

Explanation: Ans (b) UremiaComplications of renal trauma:* Urinoma is the MC complication* Delayed bleeding* Urinary fistula and abscess.* Hydronephrosis* Pyonephrosis* AV fistula* Delayed Hypertension* Stone formation